A 20-year-old man is being treated for acute lymphoblastic leukemia. While neutropenic, he becomes severely hypotensive with a temperature of 38.5degC. His blood pressure is 80/60 mm Hg, pulse 120/min, and heart sounds are normal. The JVP is below the sternal angle, lungs are clear, and his extremities are warm and flushed. What would central hemodynamic monitoring reveal?For the above patient, select the hemodynamic parameters that are most likely to apply.
1. decreased right atrial pressure (RAP), low cardiac output (CO), and increased systemic vascular resistance (SVR)
2. increased RAP, decreased CO, increased SVR
3. increased RAP, decreased CO, decreased SVR
4. decreased RAP, increased CO, decreased SVR

Correct answer: 4. decreased RAP, increased CO, decreased SVR

Explanation: In septic shock, right atrial pressure, and systemic vascular resistance are low. Cardiac output can be normal or high in early sepsis.